All of the following proteins are involved during contraction of muscles, EXCEPT:
1. Myosin
2. Actin
3. Myoglobin
4. Troponin

Correct answer: 3. Myoglobin

Explanation: The contractile mechanism in skeletal muscle largely depends on the proteins, Myosin-II Actin Tropomyosin Troponin Troponin is made up of three subunits: troponin I, troponin T, and troponin C. Ref: Barrett K.E., Barman S.M., Boitano S., Brooks H.L. (2012). Chapter 5. Excitable Tissue: Muscle. In K.E. Barrett, S.M. Barman, S. Boitano, H.L. Brooks (Eds), Ganong's Review of Medical Physiology, 24e.